In phaeochromocytoma, the urine will contain ?
1. VMA
2. HIAA
3. Both
4. None

Correct answer: 1. VMA

Explanation: Ans. is 'a' i.e., VMA